Muscles that can cause external rotation of the hip include all of the following except:
1. Sartorius
2. Obturator internus
3. Obturator externus
4. Gluteus minimus

Correct answer: 4. Gluteus minimus

Explanation: Ans:D.)Gluteus Minimus. Many of the muscles of the gluteal region are external rotators of the hip. These muscles include the gluteus maximus, piriformis, obturator internus, obturator externus, quadratus femoris, superior gemellus, and inferior gemellus. The sartorius is a flexor and external rotator of the hip. The gluteus minimus is an abductor and internal rotator of the hip.